Which among the following is a vasoconstrictor?
1. Histamine
2. PGI2
3. Bradykinin
4. TXA2

Correct answer: 4. TXA2

Explanation: Ans. is 'd' i.e., TXA2 Important mediators* Vasodilatation Histamine, prostaglandins, prostacyclins, serotonin, Nitric oxide, bradykinin.* Vasoconstriction Leukotrienes (LTC4, D4, E4), Thromboxane A2.